All of the following are investigator bias except:-
1. Interviewer bias
2. Misclassification bias
3. Hawthorne bias
4. Pygmalion bias

Correct answer: 3. Hawthorne bias

Explanation: Bias:- Type of Systemic Error in Study; Subject Bias (Eg : Recall Bias, Hawthorne bias) Investigator Bias (Interviewer Bias, Misclassification Bias, Selection Bias) Analyzer Bias (calculation error)